What directs vesicles carrying proteins modified in the Golgi cisternae to their appropriate place in the cell?
1. A sequence of amino acids within the proteins
2. A specific carbohydrate bound to the proteins
3. Coatomer or clathrin proteins coating the vesicle
4. Complementary SNARE proteins on the vesicle and its target organelle

Correct answer: 4. Complementary SNARE proteins on the vesicle and its target organelle

Explanation: The question is asking about proteins involved in protein targeting. Once proteins have been assigned to appropriate vesicles, the vesicles themselves must be addressed so that they reach the correct cellular location. This is done using a specific SNARE protein. Coatomer proteins and clathrin are necessary to promote the 'nipping off' of segments of the membrane to form vesicles but are not involved in specific targeting. Reference: Harper; 30th edition